Necrolytic migratory erythema is a skin manifestation of
1. Lyme disease
2. Acrodermatitis enteropathica
3. Sweets syndrome
4. Glucagonoma syndrome

Correct answer: 4. Glucagonoma syndrome

Explanation: Glucagonomas are pancreatic islet tumors. Treatment consists of tumor removal and intravenous amino acids. The eruption, necrolytic migratory erythema, is characterized by eczematous papules and vesicles, located mainly around the orifices and in the flexures.